Percentage of tetracaine used in eye surgery?
1. 0.50%
2. 1%
3. 2%
4. 4%

Correct answer: 1. 0.50%

Explanation: Ans. is 'a' i.e., 0.5% Cataract surgery can be performed using topical anaesthesia alone. Tetracaine 0.5% and Lidocaine 4% can be used. Advantages of this method is that it avoids the potential complications with retorbulbar and peribulbar injections. Dsadvantages include the potential for eye movement during surgery, increased patient anxiety, and discomfort from the microscope light